All of the following are Anthropozoonotic Diseases except
1. Plague
2. Rabies
3. Dracunculosis
4. Hydatid cyst

Correct answer: 3. Dracunculosis